Negri bodies in brain are seen in
1. Botulism
2. Chickenpox
3. Rabies
4. Herpes encephalitis

Correct answer: 3. Rabies

Explanation: (C) Rabies # Demonstration of inclusion bodies IN RABIES:> This is still the method most commonly used as facilities for immunofluorescence and biological tests are not available in many laboratories.> Impression smears of the brain are stained by Seller's technique (basic fuchsin and methylene blue in methanol), which has the advantage that fixation and staining are done simultaneously.> Negri bodies are seen as intracytoplasmic, round or oval, purplish pink structures with characteristic basophilic inner granules. Negri bodies vary in size from 3-27 urn> Other types of inclusion bodies may sometimes be seen in the brain in diseases such as canine distemper but the presence of inner structures in the Negri bodies makes differentiation easy.> Negri bodies are intracytoplasmic inclusion bodies seen in brain cells as purplish pink structures with characteristic basophilic granules.> These are characteristic of Rabies infection.